Not true about osteoarthritis
1. Most common joint disease
2. DIP joint is spared
3. Non-Inflammatory condition
4. Narrowing of joint space

Correct answer: 2. DIP joint is spared